Under the Primary health care, which of the following staff is present at the subcentre level?
1. Block extension educator
2. Health guides
3. Multipurpose health worker
4. Medical officer

Correct answer: 3. Multipurpose health worker

Explanation: Ans. is 'c' i.e. Multipurpose health worker Staffing pattern at various centres of public health sectorAt village level D. At CHC levelVillage health guides Existing clinical manpowerLocal dai * General SurgeonAnganwadi worker * PhysicianAt subcentre level * Obstetrician/GynaecologistMultipurpose health * Paediatrician worker (female)/ANM Proposed clinical manpowerMultipurpose health * Anaesthetist worker (male) * Eye surgeonVoluntary worker * Public health programmeAt PHC level manager (also k/a BlockMedical officer Surveillance Officer) Pharmacist Existing support manpower Nurse mid-wife * Nurse-midwife (1 ANM and 1 Health worker PHN) (female)/ANM * DresserBlock extension * Lab technician educator * RadiographerHealth assistant (male) * Ophthalmic assistantHealth assistant (female)/LHV * Ward boy/nursing orderlyU.D.C. * SweepersL.D.C. * ChowkidarLab technician * OPD attendantDriver (subject to availability of vehicle) * Statistical assistant/Data entry operatorClass IV * OT attendant * Registration clerk.